Lactose nonfermenting are all except -
1. Shigella sonnei
2. Shigella dysenteriae
3. Shigella flexneri
4. Shigella boydii

Correct answer: 1. Shigella sonnei

Explanation: Ans. is 'a' i.e., Shigella sonnei * Lactose and sucrose are not fermented except by Sh. Sonnei which ferment them late.